Superior border of Epiploic foramen is formed by?
1. Head of pancreas
2. Caudate lobe of liver
3. Lesser omentum
4. IVC

Correct answer: 2. Caudate lobe of liver

Explanation: ANSWER: (B) Caudate lobe of liverREF: Gray's anatomy 39th edition, page 3136Repeat from June 2011 and December 2011In human anatomy, the omental foramen (Epiploic foramen, foramen of Winslow, or uncommonly aditus) is the passage of communication, or foramen, between the greater sac (general cavity of the abdomen), and the lesser sac.Borders of Epiploic foramen:It has the following borders:Anterior: the free border of the lesser omentum, known as the hepatoduodenal ligament. This has two layers and within these layers are the common bile duct, hepatic artery, and hepatic portal vein.Posterior: the peritoneum covering the inferior vena cavaSuperior: the peritoneum covering the caudate lobe of the liverInferior: the peritoneum covering the commencement of the duodenum and the hepatic artery, the latter passing forward below the foramen before ascending between the two layers of the lesser omentum.* Left lateral: Gastrosplenic ligament and Splenorenal ligament,